Mycobacterium tuberculosis infection in humans is most commonly because of -
1. Contact
2. Inhalation
3. Infiltration
4. Inoculation

Correct answer: 2. Inhalation

Explanation: Ans. is 'b' i.e.. Inhalation o Tuberculosis is transmitted mainly by droplet infection and dropled nuclei generated by sputum-positive patients with pulmonary tuberculosis.o Coughing generates the largest number of droplets of all sizes. The frequency and vigour of cough and the ventilation of the environment influence transmission of infection.DiseaseModsfs) of transmissionRemarksChicken PoxDroplet infection, droplet nuclei.Face to fact transmissionMeaslesDroplet infection, droplet nuclei, through conjunctiva4 days before rash to 5 days laterRubellaDroplet infection, droplet nuclei, vertical1 week before rash to I week laterMumpsDroplet infection, direct contact InfluenzaDroplet infection, droplet nuclei DiphtheriaDroplet infection, direct contact, fomite borne95% transmission from carriersWhooping CoughDroplet infection, direct contact, fomite MeningococcalDroplet infectionCarriers most important source of infectionTBDroplet infection, droplet nuclei.Not Fomite bornePoliomyelitisFaeco-oral droplet infection Hepatitis AFaeco-oral, parenteral, sexual Hepatitis BPerinatal, parenteral, sexual, horizontal Hepatitis CPerinatal, parenteral, sexual Hepatitis DPerinatal, parenteral, sexualSuper-infectiorL;co-in faction to HBVHepatitis EFaeco-oral CholeraFaeco-oral, contaminated foods-drinks, direct contact TyphoidFaeco-oral, urine-oral AmoebiasisFaeco-oraS AseariasisFaeco-oral AncylostomiasisDirect penetration(skin), oralTransmission may be perennialDraeunculiasisConsumption of water containing cyclopsWater based diseaseDengueAedes biteWater breeding disease